Otospongiosis causes -
1. U/L conductive deafness
2. B/L conductive deafness
3. U/L sensorineural deafness
4. B/L sensorineural deafness

Correct answer: 2. B/L conductive deafness